All of the following are feature of malignant hypertension except -
1. Grade IV hypertensive retinopathy
2. Haemolytic blood picture
3. Renal failure
4. Respiratory failure

Correct answer: 4. Respiratory failure

Explanation: Hypertension is described as being in accelerated phase or MALIGNANT HYPERTENSION when it causes acute damage to renal and other arterioles. It is often symptomatic, with headache, impaired vision and, finally, manifestations of renal failure Severe hypertensive retinopathy with papilloedema is almost always present.Malignant hypertension is a syndrome associated with an abrupt increase of blood pressure in a patient with underlying hypertension or related to the sudden onset of hypertension in a previously normotensive individual. The absolute level of blood pressure is not as important as its rate of rise. Pathologically, the syndrome is associated with diffuse necrotizing vasculitis, arteriolar thrombi, and fibrin deposition in arteriolar walls. Fibrinoid necrosis has been observed in arterioles of kidney, brain, retina, and other organs. Clinically, the syndrome is recognized byprogressive retinopathy (arteriolar spasm, hemorrhages, exudates,and papilledema), deteriorating renal function with proteinuria,microangiopathic hemolytic anemia, and encephalopathy.In these patients, historic inquiry should include questions about the use of monamine oxidase inhibitors and recreational drugs (e.g., cocaine, amphetamines). ref:Harrison's principles of internal medicine,ed 18,pg no 2058